Arterial supply to the head and neck of femur is -
1. Lateral circumflex femoral artery
2. Medial circumflex femoral artery
3. Profunda femoris artery
4. External femoral artery

Correct answer: 2. Medial circumflex femoral artery

Explanation: Ans-B BLOOD SUPPLY TO HEAD AND NECK OF FEMUR The blood supply to the head and neck of femur comes from: Extracapsular arterial ring located at the base of the neck of femur Artery of ligamentum teres Epiphyseal arteries Metaphyseal arteries The extracapsular arterial ring is formed by: Posteriorly by branches of the medial circumflex femoral artery (a major part of blood supply) Anteriorly by branches of the lateral circumflex femoral artery Smaller branches of superior and inferior gluteal artery Both medial and lateral circumflex femoral arteries are branches of profunda femoris artery. Artery of ligamentum teres It is a branch of obturator artery. It contributes a small but variable amount of blood supply.